The number of major hormones produced by the anterior pituitary gland is
1. 4
2. 5
3. 6
4. 7

Correct answer: 3. 6

Explanation: Six major hormones produced by anterior pituitary gland are Prolactin (PRL), Growth hormone (GH), Adrenocorticotropin hormone (ACTH), Luteinizing hormone (LH), Follicle-stimulating hormone (FSH) & Thyroid-stimulating hormone (TSH).Reference: Harrison 19th edition 401e-1